A35yr Ad primigromida conceieved after IVFcycles attends ANC checkup with 38week POG Her obstetric details reveals DCDA twins with 1st twin as breads Onexamination BP 140/90 multy on two occasions with proteinuria + 1 How do you manage
1. watch for BP and terminate when BP gets elevated
2. Watch for BP and induce on the EDD
3. Immediate C section
4. hnduction of labour

Correct answer: 3. Immediate C section

Explanation: Indication of immediate C section 2ndtwin 1=1st twin non cephalic 2= cord potapse of 2nd twin 3= Abruptio Placenta 4= Difficulty in internal podalic version ref : dutta 9th ed